Drug of choice in scabies in pregnant woman is?
1. Lindane
2. Ivermectin
3. Sulphur ointment
4. Permethrin

Correct answer: 4. Permethrin

Explanation: ANSWER: D. Safest is 6% sulfur ointment but still, the DOC is 5% permethrin both in infants and pregnant females. REF: IADVL 2nd edp. 428 Treatment of scabies in pregnancy is of much debate. International authors and textbooks like ROOK'S says: Scabicides in pregnancy and breastfeeding. The literature is replete with cautionary advice relating to the use of scabicides in pregnancy, but having indicated which scabicides are best avoided, authors rarely commit themselves to stating what they recommend. This is understandable in view of concern about potential toxic effects on the fetus but, to this author's knowledge. there is no documented evidence that any of the currently available scabicides has been responsible for harmful effects in pregnancy. Current UK Clinical Knowledge Summaries (CKS) guidelines suggest using permethrin, with malathion as an alternative. However Indian authors traditionally suggest using 6% precipitated sulfur in petrolatum applied to the entire body for 3 days as an alternative to GBH.